Predisposing factors for colon ca are -a) Animal fat consumptionb) Familial adenomatous polyposisc) Ulcerative colitisd) Crohn' s diseasee) TB
1. abce
2. abcd
3. acde
4. abde

Correct answer: 2. abcd